Pharmacovigilance is done for monitoring ?
1. Drug price
2. Unethical practices
3. Drug safety
4. Pharmacology students

Correct answer: 3. Drug safety

Explanation: Ans. is 'c' i.e., Drug safety Pharmacovigilance is done for the assessment of adverse effects or any other drug related problem so that the safety of that drug can be assessed. "The national pharmacovigilance programe is based on the recommendations made in WHO document titled Safety monitoring of medicinal products-Guidelines for setting up and running a pharmacovigilance centre".